Which of the following is a component of slow reacting substance of anaphylaxis (SRS–A) ?
1. LTC4
2. LTB4
3. Misoprostol
4. Prostacyclin

Correct answer: 1. LTC4